Which of the follwing statements regarding drugs used in leprosy is FALSE?
1. Single intramuscular injections of acedapsone maintain inhibitory levels of dapsone in tissues for upto 3 months
2. Monthly doses of rifampicin delay the emergence of resistance to dapsone
3. Clofazimine should not be given to patients who are intolerant to dapsone or who fail to improve during treatment with dapsone
4. Clofazimine may cause changes in the skin colour

Correct answer: 3. Clofazimine should not be given to patients who are intolerant to dapsone or who fail to improve during treatment with dapsone

Explanation: (Ref: KDT 6/e p752, 753) Acedapsone is a repository form od dapsone. Single i,m. injection of acedapsone keep on releasing the drug for 3 months. Rifampicin is used once in a month (supervised dose) for the treatment of leprosy. It prevents the emergence of resistance to dapose. Clofazimine can result in skin pigmentation, disclolouration of secretions and dryness of skin (icthyosis). Clofazimine has no cross-allergenicity with dapsone.